What is false about case fatality rate?
1. It is a ratio
2. It is not useful for acute disease
3. Related to virulence
4. Not useful in chronic diseases

Correct answer: 2. It is not useful for acute disease

Explanation: Case fatality rate represents the killing power of the disease. It's simply the ratio of deaths to diseases. Ref: 25th edition, Park's Textbook of Preventive and Social Medicine, Page no. 66